All of the following statements are true about Benedikt's syndrome except
1. Contralateral tremor
2. 3rd nerve palsy
3. Involvement of the penetrating branch of the basila artery
4. Lesion at the level of the pons

Correct answer: 4. Lesion at the level of the pons

Explanation: . *Benedikt's syndrome involve injury to red nucleus results in ipsilateral oculomotor palsy and contralateral tremor,chorea and athetosis. Benedikt's Syndrome describes an ipsilateral III nerve palsy accompanied by contralateral 'cerebellar' tremor - a slow rhythmic tremor of the contralateral hand and foot, increased by excitement and voluntary movement, absent in sleep Ref Harrison20th edition pg 2456